Anticodon is present in -
1. mRNA
2. tRNA
3. rRNA
4. hnRNA

Correct answer: 2. tRNA

Explanation: Ans. is 'b' i.e., tRNA o t-RNA molecule get folded into a structure that appears like a clover leaf Q. There are four arms.Acceptor arm : It consists of a base paired stem that terminates in the sequence CCA at the 31 end. This is the attachment site for amino acids.D arm - It contains the base dihydrouridine (D).Anticodon arm - It contains anticodon Q that base pairs with the codon of coming mRNA. Anticodon has nucleotide sequence complementary to the codon of mRNA and is responsible for the specificity' of the t RNA.T C arm : It contains both ribothymidine (T) and pseudouridine (ps).